What is the effect of soft tissue liner under the denture on the residual ridge?
1. Increases pressure threshold for ridge
2. Decreases pressure threshold for ridge
3. Does not depend on it
4. Depends on basal tissue

Correct answer: 1. Increases pressure threshold for ridge

Explanation: Soft tissue liners increase the capacity of stress or load distribution throughout the ridge.